Structures passing through superior orbital fissure-a)  Cranial nerve VIb)  Cranial nerve Ic)  Cranial nerve IId) Ophthalmic nervee) Lacrimal nerve
1. a
2. b
3. ab
4. ae

Correct answer: 4. ae